Which of the following is not a sonographic criterion for cesarean scar pregnancy
1. Anterior uterine isthmic mass
2. Hourglass uterine shape
3. Empty cervical canal
4. Hyperechoic thin endometrial stripe

Correct answer: 2. Hourglass uterine shape

Explanation: Sonographic criteria for cesarean scar pregnancy include 

Empty uterine cavity - bright hyperechoic endometrial stripe
Empty cervical canal
Intrauterine mass seen in anterior part of uterine isthmus.